Morula is a stage of cell
1. 8
2. 16
3. 32
4. 64

Correct answer: 2. 16